Gastric lavage turns black in presence of Silver nitrate, most probable poisoning was -
1. Celphos
2. Malathion
3. Organophosphorus
4. Parathion

Correct answer: 1. Celphos

Explanation: Gastric lavage fluid gives black colour in presence of silver nitrate because of reaction of posphine with silver nitrate.